Superior rectal vein drains into-
1. Inferior mesenteric vein
2. External iliac vein
3. Internal iliac vein
4. Internal pudendal vein

Correct answer: 1. Inferior mesenteric vein

Explanation: Ans. is 'a' i.e., Inferior mesenteric vein o Superior rectal vein drains into inferior mesenteric vein,o Inferior rectal vein drains into internal pudendal vein.